Most common cause of ARDS in children is:
1. Aspiration
2. Injury
3. Severe pneumonia with sepsis
4. DIC

Correct answer: 3. Severe pneumonia with sepsis

Explanation: c. Severe pneumonia with sepsis(Ref: Neonatal and Pediatric Respiratory Care 4/e By Brian K. Walsh p 564)Pneumonia, sepsis and aspiration are the most common cause of ARDS and ALI in children